A neonate presents with hypoglycemia and jaundice and is diagnosed to have metabolic disorder. What is the most likely diagnosis?
1. Hypothyroidism
2. Glycogen storage disease
3. Galactosemia
4. None of the above

Correct answer: 3. Galactosemia

Explanation: Galactosemia 
In these newborn, hypoglycemia and jaundice is seen.